Allosteric stimulator of glycogen synthase -
1. AMP
2. Insulin
3. Glucose-6-phosphate
4. Glucose

Correct answer: 3. Glucose-6-phosphate

Explanation: Ans. is 'c' i.e., Glucose-6-phosphate [Ref Harper 29th/e p. 182 & 28th/e p.